Which among the following is contraindicated in Myasthenia patient
1. Aminoglycosides
2. Sulfonamides
3. Penicillin
4. All the above

Correct answer: 1. Aminoglycosides

Explanation: Refer kDT 6/e p 722 Aminoglycoside can result in neuromuscular blockade that can aggravate Myasthenia gravis